Measles is infective for:
1. One day before and 4 days after rash
2. Four days before and five days after rash
3. Entire incubation period
4. Only during scabs falling

Correct answer: 2. Four days before and five days after rash

Explanation: Measles/English Measles is spread through respiration (contact with fluids from an infected person's nose and mouth, either directly or through aerosol transmission), and is highly contagious -- 90% of people without immunity sharing a house with an infected person will catch it. The infection has an average incubation period of 14 days (range 6-19 days) and Period of communicability in measles is approximately 4 days before and 5 days after the appearance of the rash. Measles is an infection of the respiratory system caused by a virus, specifically a paramyxovirus. REF : ananthanarayana 10th ed